The amount of bleaching powder necessary to disinfect choleric stools, is-
1. 50gm/lit
2. 75 gm/lit
3. 90 gm/it
4. 100 gm/ lit

Correct answer: 1. 50gm/lit

Explanation: Bleaching powder or chlorinated lime is a white amorphous powder with a pungent smell of chlorine. It kills most of the organisms when used in a strength of 1 to 3 percent. A 5 percent solution is suitable for the disinfection of feces and urine allowing a period of one hour. Ref: 25th edition, Park's Textbook of Preventive and Social Medicine, Page no. 141